Increased cardiac oxygen demand is caused by –
1. Ketamine
2. Nitrous oxide
3. Thiopentone
4. Halothane

Correct answer: 1. Ketamine